Most common cause of stridor in children is
1. Laryngomalacia
2. Congenital laryngeal paralysis
3. Foreign body in larynx
4. Congenital laryngeal tumors

Correct answer: 1. Laryngomalacia

Explanation: The most common cause of stridor in children is Laryngomalacia. Laryngomalacia is due to excessive flaccidity of supraglottic larynx which is sucked during inspiration. It manifests at birth or soon after and usually disappear by 2 years of age. Re: Textbook of Ear, Nose and Throat, Dhingra, 7th Edition; Pg no: 333